Root of mesentery doesn't cross the following
1. Right ureter
2. Abdominal aorta
3. Inferior vena cava
4. Second part of duodenum

Correct answer: 4. Second part of duodenum

Explanation: The mesentery of the small intestine arises from the root of the mesentery and is the part connected with the structures in front of the vertebral coloumn. The root is narrow and is directed obliquely from the duodenojejunal flexure at the left side of the second lumbar vertebrae to the right sacroiliac articulation. The root of the mesentery extends from the duodenojejunal flexure to the ileocaecal junction. This section of the small intestine is located centrally in the abdominal cavity and lies behind the transverse colon and the greater omentum. Structures passed by root of mesentry ref - BDC 6e vol2 pg235